Uterine and vaginal veins drains into which of the following veins ?
1. external iliac veins
2. internal iliac veins
3. common iliac veins
4. inferior vena cavae

Correct answer: 2. internal iliac veins

Explanation: Venous Drainage - The veins form a plexus along the lateral border of the uterus. The plexus drains through the uterine, ovarian and vaginal veins into the internal iliac veins. Ref : B D Chaurasia's Human Anatomy , seventh edition,volume 2, pg.no., 422.